True about tumour lysis syndrome is ME -
1. Hyperuricemia
2. Hypercalcemia
3. Hyperphosphatemia
4. Hypocalcemia

Correct answer: 2. Hypercalcemia